Orientation records are transferred by:
1. Gothic arch tracing
2. Face bow record
3. Dual impression technique
4. Any of the above

Correct answer: 2. Face bow record